Risk factor for CA breast
1. OCP
2. BRCA-1 mutation
3. Nulliparity
4. all of the above

Correct answer: 4. all of the above

Explanation: .Risk factor for CA breast are Nulliparity BRCA-1 mutation oral contraceptive pills breast carcinoma in 1st degree relative obesity and alcohol intake early menarche and late menopause ref ;(page no;530) 5th edition of SRB'S Manual of SURGERY